Tietze syndrome involves swelling of
1. 1st Costochondral joint
2. 2nd or 3rd Costochondral joint
3. 4th & 5th Costochondral joint
4. 6th or 7th Costochondral joint

Correct answer: 2. 2nd or 3rd Costochondral joint

Explanation: Painful swelling of second or third Costo chondral joint.